Which of these is a poor source of Vitamin D?
1. Fish fat
2. Whole milk
3. Cod liver oil
4. Egg

Correct answer: 2. Whole milk

Explanation: Food Vit D ug/ 100 g of food Butter 0.5-1.5 Egg 1 Whole milk 0.1 Fish fat 5-30 Cod liver oil 200-750 Halibut liver oil 500-10,000 Ref: Park's textbook of Preventive and Social Medicine, 21st edition, page-570